Both BRAC-1 and BRAC-2 is associated with?
1. Endometrial carcinoma
2. Colon carcinoma
3. Ovarian carcinoma
4. Testicular carcinoma

Correct answer: 3. Ovarian carcinoma

Explanation: Ans. is 'c' i.e., Ovarian carcinoma * BRCA-1 & BRCA-2 are commonly associated with - Carcinomas of ovary and breast.* Less commonly BRAC-2 is also associated with - Carcinomas of colon, prostate and pancreas.